A 27 year old male patient complains of discoloration with his upper front teeth. Intra-oral examination reveals proximal caries with 11 and 21. Dentist prepares the tooth to receive composite restoration. Optimal enamel bevel features seen with this type of restoration is:
1. 45 degree bevel with 0.5-1.5mm width
2. 30 degree bevel with 0.5-1.5 mm width
3. 45 degree bevel with 2-3 mm width
4. 30 degree bevel with 2-3 mm width

Correct answer: 1. 45 degree bevel with 0.5-1.5mm width

Explanation: Enamel margins are beveled with a FLAME SHAPED OR ROUND DIAMOND INSTRUMENT .
Bevel is prepared by creating a 45 degree angle to the internal surface and width of 0.5-2mm depending on the size of the preparation, location of margin and esthetic requirement.